Continuous fixed traction is provided by:
1. Thomas splint
2. BB splint
3. Hamilton Russel
4. Gallows

Correct answer: 1. Thomas splint

Explanation: Thomas splint is commonly used for the immobilization of hip and thigh injuries. The modified Thomas splint adapted the original Thomas splint to include a traction screw and foot plate and limb support built into the splint body.